In Sickle Cell Anaemia defect is in which chain:
1. Alphachain
2. Beta chain
3. Both the chains
4. None of these

Correct answer: 2. Beta chain

Explanation: Beta chain